Valproate is preferred over lithium in all of the following conditions except:
1. Elated mania
2. In renal compromise
3. Dysphoric mania
4. Mania with psychosis

Correct answer: 1. Elated mania

Explanation: In elated or euphoric mania, lithium is preferred. In rest of the options, valproate is preferred. In renal compromise, lithium is avoided due to its renal side effects. Lithium Indications: 1. Acute manic episode 2. Bipolar depression 3. Maintenance treatment- it reduces severity, frequency and duration of both manic and depressive episodes 4. Antisuicide property 5. Schizoaffective disorder 6. Major depressive disorder 7. Neutropenia 8. OCD 9. Headache (cluster headache, migraine) 10. Ulcerative colitis